Straining and Dribbling of urine in a male infant with recurrent urinary infection should lead to the suspicious of
1. Vesico-ureteric reflux
2. Posterior urethral valve
3. Pelvic ureteric junction obstruction
4. Phimosis

Correct answer: 2. Posterior urethral valve

Explanation: Posterior urethral valves are a problem with the urethra in a boy. The urethra is the tube that drains urine from the bladder to the outside of the body. These valves are small leaflets of tissue in the urethra. They partly block urine flow because not enough urine can get through them to leave the body. Reference: GHAI Essential pediatrics, 8th edition